DNS may be associated with all the following except:
1. Recurrent sphenoiditis
2. Acute otitis media
3. Hypertrophy of the inferior turbinate
4. Recurrent maxillary sinusitis

Correct answer: 1. Recurrent sphenoiditis

Explanation: In deviated nasal septum, the nasal chamber on the concave side of the nasal septum is wide and shows compensatory hypertrophy of turbinates and not atrophy. The sphenoid sinus opens in the sphenoethmoid recess near the roof of nasal cavity and this opening is not affected by DNS.